Embryonic structure, identified earliest on USG, for confirmation of pregnancy is:
1. Fetal pole
2. Fetal Heart activity
3. Gestation sac
4. Fetal skeleton

Correct answer: 3. Gestation sac

Explanation: Ans. C: Gestation sac Gestation sac and embryonic yolk sac is identified at menstrual age of 5 weeks Fetal pole and cardiac activity is identified on USG at menstrual age of 6 weeks Lower limb buds, upper limb buds and spine at 7, 8 and 9 weeks respectively Remember: Total duration of pregnancy: 280 days Earliest detection of pregnancy by USG: Gestational sac Pregnancy is confirmed by: - Fetal heart rate - Fetal sac on USG - Fetal movements Transvaginal sonography detects gestational sac: at 14 days after ovulation